A 6 year old child has an IQ of 50. Which of the following tasks should the child be able to perform?
1. Identify colours
2. Read a sentence
3. Ride a bicycle
4. Copy a triangle

Correct answer: 1. Identify colours

Explanation: This question expects us to first calculate the child's mental age and then choose the task that can be performed by a six year old child with an IQ of 50. This child has a mental age of 3 years and therefore is capable of identifying colours. Ref: Clinical Review for the USMLE Step 2, Surgisphere Corporation, 2008 - Pg 72; Ghai Essential Pediatrics - 6th Edition, Page 543; UNICEF Guidelines on Child development and Early learning; Nelson's Textbook of Pediatrics 17th Edition, Page 39.